What is the angle subtended on each letter of the snellen's chart?
1. 5 degrees
2. 10 degrees
3. 5 minutes
4. 10 minutes

Correct answer: 3. 5 minutes

Explanation: Visual acuity test-types consist of a series of letters arranged in lines, each diminishing in size. The breadth of the lines of which the letters are composed is such that the edges will subtend an angle of 1 minute at the nodal point of the eye at a particular distance. Each letter is shaped such that it can be placed in a square, the sides of which are five times the breadth of the constituent lines. Hence the whole letter will subtend an angle of 5 minutes at the nodal point of the eye at the given distance.